Among the drugs given below, which is LEAST likely to be implicated in drug induced hepatitis?
1. Isoniazid
2. Streptomycin
3. Rifampicin
4. Pyrazinamide

Correct answer: 2. Streptomycin